Most common nerve involved in an intracranial aneurysm is
1. Trochlear
2. VII
3. VIII
4. Oculomotor

Correct answer: 4. Oculomotor

Explanation: D i.e. Occulomotor nerveIntra cranial aneurysm commonly presents with either an occulomotor (IIIrd)or abducent (VIth) nerve palsy